Which is NOT a side effect of GH administration?
1. Gynecomastia
2. Hypoglycemia
3. Slipped capital femoral epiphysis
4. Pseudotumor cerebri

Correct answer: 2. Hypoglycemia

Explanation: Adverse reactions to GH administration Reversible dose-related fluid retention. Joint pain, and carpal tunnel syndrome, myalgias and paresthesia. Hyperglycemia - GH is a potent counter-regulatory hormone for insulin action. Patients with type 2 diabetes mellitus initially develop further insulin resistance. Glycemic control improves with the sustained loss of abdominal fat associated with long-term GH replacement. Headache due to benign intracranial hypertension.(Pseudotumor Cerebri) Gynaecomastia Acromegaly. Cardiomyopathy. Slipped Capital Femoral Epiphysis, Turner syndrome, and other known causes of short stature are more likely to develop SCFE before or during GH treatment than children with idiopathic short stature.